The hypothalamus produces several releasing peptides. Which releasing peptide is responsible for the release of adrenocorticotropin (ACTH) from the pituitary?
1. CRF (corticotropin releasing factor)
2. ACF (ACTH releasing factor)
3. Corticosterone
4. Cortisol

Correct answer: 1. CRF (corticotropin releasing factor)

Explanation: Corticotropin releasing factor (CRF) released from the hypothalamic paraventricular nucleus is responsible for release of ACTH. The cell type within the paraventricular nucleus is termed the parvicellular or small neurons. These neurons project their axons into the tuberohypophyseal tract to be released into the hypothalamo hypophyseal portal system to act on the pituitary. Ref: Javorsky B.R., Aron D.C., Findling J.W., Tyrrell J.B. (2011). Chapter 4. Hypothalamus and Pituitary Gland. In D.G. Gardner, D. Shoback (Eds),Greenspan's Basic & Clinical Endocrinology, 9e.